Treatment of supraventricular tachycardia with hypotension in a patient under general anaesthesia, inludes all of the following treatments, EXCEPT:
1. Carotid sinus massage
2. Adenosine 3-12 mg IV
3. Direct current cardioversion
4. Verapamil 5 mg IV

Correct answer: 4. Verapamil 5 mg IV

Explanation: When the patient is hemodynamically unstable DC shock can be given, adenosine is also safe if the patient has no history of asthma and has no AV block. Carotid sinus massage is also effective in most cases. If the patient has no hypotension, verapamil can be given if the patient is stable. But in this case it may aggravate the hypotension and depress ventricular function since the anesthetic itself may cause myocardial depression. Ref: Emergency Management of The Pediatric Patient: Cases, Algorithms, Evidence By Kimball A. Prentiss, Page17 ; Clinical Manual of Emergency Pediatrics By Ellen F. Crain, 5th Edition, Page 44 ; In A Page Medicine By Scott Kahan, 2nd Edition, Pages 37-39